What is the causative agent of kaposi sarcoma
1. HBV
2. HCV
3. HHV
4. HSV

Correct answer: 3. HHV

Explanation: HHV - 8 (Human Herpesvirus 8) is the causative agent of kaposi sarcoma.